8% of SNF2 contains:
1. 8000PPM of flouride
2. 80,000PPM of flouride.
3. 9200PPM of flouride.
4. 19,500PPM of flouride.

Correct answer: 4. 19,500PPM of flouride.